In vitamin A deficiency all are seen except:
1. Nyctalopia
2. Follicular hyperkeratosis
3. Osteomalacia
4. Growth retardation

Correct answer: 3. Osteomalacia

Explanation: Ans: c (Osteomalacia) Ref: Park, 19th ed,p. 485-486Signs of vit Adeficiencies are predominantly ocular.They include night blindness (nyctalopia), conjunctival xerosis, Bitot's spots, comeal xerosis and keratomalacia.Extraocular manifestations comprises of follicular hyperkeratosis, anorexia and growth retardation.Osteomalacia is due to defecincy of vit D.